The part of nephron "least permeable to water" is
1. Proximal tubule
2. Descending Limb of loop of Henle
3. Ascending limb of loop of Henle
4. Collecting tubule

Correct answer: 3. Ascending limb of loop of Henle